Patient presents with peritonitis and during surgery a diverticular perforation is seen with fecal peritonitis. What is the Hinchey's stages?
1. 1
2. 2
3. 3
4. 4

Correct answer: 4. 4

Explanation: Hinchey classification of complicated diverticulitis. GRADE Grade I Mesenteric or pericolic abscess Grade II Pelvic abscess Grade III Purulent peritonitis Grade IV Faecal peritonitis